Vibration sense is carried by
1. Pacinian corpuscles
2. Meckel's disks
3. Ruffini corpuscle end-organs
4. Free nerve endings

Correct answer: 1. Pacinian corpuscles

Explanation: (A) Pacinian corpuscles